Which virus is not a teratogenic Virus?
1. Rubella
2. Cytomegalovirus
3. Herpes simplex
4. Measles

Correct answer: 4. Measles

Explanation: TORCH complex consists of Toxoplasmosis, Others ,Rubella ,Cytomegalovirus ,& Herpes simplex virus. Others refer to hepatitis B, mumps ,coxsackevirus B. All the microoganisms in TORCH complex are transmitted transplacentally & therefore infect the foetus from mother . Lesions produced by TORCH complex in utero includes microcephaly, microphthalmia,hepatomegaly, heart disease, splenomegaly,pneumonitis. Reference: Harrison20th edition pg 978